A woman develops chickenpox at 39 weeks. She has a single fetus in the cephalic presentation. She has no other pregnancy complications.What is the best method to prevent neonatal infection?
1. Continue the pregnancy for at least one week.
2. Give varicella zoster vaccine to the neonate soon after birth
3. Give VZIG to the neonate soon after birth
4. Induce labor immediately

Correct answer: 1. Continue the pregnancy for at least one week.

Explanation: Ans. is a, i.e. Continue the pregnancy for at least one weekIf delivery can be postponed for at least 7 days, the mother will develop antibodies and there will be transplacental transfer of antibodies to the neonate. The neonate will have passive immunity and will not develop the infection. Therefore, the best method to prevent neonatal infection is to continue the pregnancy for at least one week after the mother develops the rash. If delivery occurs within one week, the baby should be given VZIG soon after birth.